Congenital elevation of scapula is called
1. Sprengelshouder
2. Bouchard
3. Bouternnier
4. None of the above

Correct answer: 1. Sprengelshouder

Explanation: Congenital high scapula (Sprengel's shoulder)The congenital high scapula is an uncommon congenital deformity characterized by an abnormally high position and relative fixity fixity of scapulaThe anomaly represents a failure of the scapula of the scapula to descend during development to its normal thoracic position(Refer: Mohindra's Fundamentals of Orthopedics, 2nd edition, pg no. 380)